Stary sky" appearance is seen in -
1. Burkitt's lymphoma
2. Mantle cell lymphoma
3. Extra nodal marginal Zone B-cell lymphoma of MALT type
4. Chronic myeloid leukemia

Correct answer: 1. Burkitt's lymphoma

Explanation: Ans. is 'a' i.e., Burkitt's lymphoma o Numerous tissue macrophages are diffusely distributed among the tumor cells and have abundant clear cytoplasm, creating a characteristic, "Starry Sky" pattern.